Gas gangrene can be caused by all Except
1. Clostridium sporogenes
2. Clostridium bifermentans
3. Clostridium septicum
4. Clostridium difficile

Correct answer: 4. Clostridium difficile

Explanation: Clostridium difficile causes pseudomembranous colitisThe common causative organism is Clostridium perfringens, a spore-forming, Gram-positive saprophyte that flourishes in anaerobic conditions. Other organisms implicated in gas gangrene include C. bifermentans, C. septicum and C. sporogenes. Non-clostridial gas-producing organisms, such as coliforms, have also been isolated in 60-85 percent of cases of gas gangreneBailey and love 26e pg: 429